Which of the following occur after 1 minute of standing, compared to the recumbent position?
1. Skin blood flow increases
2. Volume of blood in leg veins increases
3. Cardiac preload increases
4. Cardiac contractility decreases

Correct answer: 2. Volume of blood in leg veins increases

Explanation: Standing up increases the transmural pressure in the veins of the legs. Because the veins are highly compliant, their volume increases at the expense of central blood volume.A lower central blood volume means reduced cardiac filling pressure (preload). Within seconds, the decrease in preload decreases stroke volume, cardiac output, and arterial pressure.Ref: Guyton; 13th edition